The specific antagonist for benzodiazepine is:
1. Flumazenil
2. Alprazolam
3. Di-iso propyl phenol
4. Naltrexone

Correct answer: 1. Flumazenil

Explanation: aRef: KDT, 5th ed, p. 367